Michaelis - Gatmann bodies are seen in
1. Interstitial cystitis
2. Malackoplakia
3. Thimble Bladder
4. Transitional cell carcinoma of bladder

Correct answer: 2. Malackoplakia

Explanation: Michaelis - Gutmann bodies are seen due to defective phagocytic activity, seen in Malackoplakia.